In facial palsy, food accumulated in the mouth dueto paralysis of-
1. Masseter
2. Temporalis
3. Mentalis
4. Buccinator

Correct answer: 4. Buccinator